Passive retention in removable partial dentures is provided by:
1. Direct retainers
2. Indirect retainers
3. Undercuts
4. Guiding planes

Correct answer: 4. Guiding planes